In homocystinuria, lens subluxates in
1. Inferolateral
2. Inferonasal
3. Superionasal
4. Superiotemporal

Correct answer: 2. Inferonasal

Explanation: Homocystinuria. It is an autosomal recessive, inborn error of metabolism. In it the lens is usually subluxated inferior and nasally. Systemic features Fair complexion, malar flush, intellectual disability, fits and poor motor control Diagnosis is established by detecting homocysteine in urine by sodium nitro-prusside test. Ref;A.K.Khurana; 6th edition; Page no:216 QUESTION REPEATED